Which organism does not invade intact cornea?
1. Pseudomonas
2. N. meningitidis
3. N. gonorrhoea
4. C. diphtherias

Correct answer: 1. Pseudomonas

Explanation: Ans. (a) PseudomonasRef: Yanoff 4/e, p. 217Although disruption of the continuity of the epithelium is the most common event that allows the establishment of a corneal infection, a few organisms such as Corynebacterium diphtheria, jaemophilus aegypticus, Neisseria gonorrhoeae, Neisseria meningitides and Shigella and Listeria species can penetrate an intact epithelium.